Pseudodementia is seen in
1. Alcoholism
2. Depression
3. Schizophrenia
4. Mania

Correct answer: 2. Depression

Explanation: Depressive pseudodementia- depression in the elderly people may mimic dementia clinically. Identification of depression is very important as it is far more easily treatable than dementia. (Ref: a short textbook of psychiatry, Niraj Ahuja, 7th edition, pg no.23)